True statement regarding Fracture of clavicle is:
1. Most common Complication is Malunion
2. Occurs at the jn.of medial 1/3rd & lateral 2/3rd
3. Usually occurs due to fall on elbow
4. Communitted fracture is common

Correct answer: 1. Most common Complication is Malunion

Explanation: A i.e. Most common complication is malunion